The most common cause of conductive deafness in children is
1. ASOM
2. Wax
3. Serous otitis media
4. Otosclerosis

Correct answer: 3. Serous otitis media

Explanation: SEROUS OTITIS MEDIA, SECRETORY OTITIS MEDIA, MUCOID OTITIS MEDIA, "GLUE EAR" This is an insidious condition characterized by accumulation of nonpurulent effusion in the middle ear cleft. The fluid is nearly sterile. The disease affects children of 5-8 years of age. Hearing loss. This is the presenting and sometimes the only symptom. It is insidious in onset and rarely exceeds 40 dB. Deafness may pass unnoticed by the parents and may be accidentally discovered during audiometric screening tests. Ref : Diseases of ENT by Dhingra 6th edition Pgno : 64